Hand joining sign is characteristic of
1. Pelviceal duplication
2. Uerterocoele
3. Ureteric duplication
4. Horseshoe kidney

Correct answer: 4. Horseshoe kidney

Explanation: Both kidneys meet in midline seen has hand joining sign.